Woman of 30-years with Raynaud's phenomenon, polyarthritis, dysphagia of 5-years and mild Sclerodactyl, blood showing Anti-centromere antibody positive, the likely cause is
1. CREST
2. Mixed connective tissue disorder
3. SLE
4. Rheumatoid arthritis

Correct answer: 1. CREST

Explanation: Ans. is 'a' i.e., CREST